Finkelstein's test is done for diagnosis of:
1. De quervain's tenosynovitis
2. Trigger finger
3. Carpel tunnel syndrome
4. Compartment syndrome

Correct answer: 1. De quervain's tenosynovitis

Explanation: Ans: A (De quervain's tenosynovitis) Ref: Apley's System of Orthopaedics and Fractures. 9th EditionExplanation:DE QUERVAIN'S DISEASEThis condition, first described in 1895. is caused by reactive thickening of the sheath around the extensor pollicis brevis and abductor pollicis longus tendons within the first extensor compartment.It may be initiatedby overuse but it also occurs spontaneously, particularly in middle-aged women, and sometimes during pregnancy.The pathognomonic sign is elicited by Finkelstein's test.The examiner places the patient's thumb across the palm in full flexion and then, holding the patienf s hand firmly, turns the wrist sharply into adduction.In a positive test this is acutely painful; repeating the movement with the thumb left free is relatively painless.Resisted thumb extension (hitch-hiker's sign) is also painful.